SIADH is not caused by ?
1. Vincristine
2. Actinomycin D
3. Vinblastine
4. Cyclophosphamide

Correct answer: 2. Actinomycin D

Explanation: Ans. is 'b' i.e., Actinomycin D